False about syphilis is :
1. Incubation period is 9-90 days
2. Secondary syphilis is due to hematological dissemination
3. Syphilitic ulcers(Chancre) are extremely painful
4. "General paresis of Insane" is due to CNS involvement in tertiary syphilis.

Correct answer: 3. Syphilitic ulcers(Chancre) are extremely painful

Explanation: Syphilitic ulcers(Chancre) are usually single in number, butter like, hard in consistency and typically painless.